A 35-year-old lady with Idiopathic pulmonary artery hypertension. Which findings best describe this patient?
1. Elevated JVP, normal SI S2, Diastolic murmur
2. Elevated JVP, singular loud S2, Systolic murmur
3. Elevated JVP, wide fixed split S2, Systolic murmur
4. Elevated JVP, barrel chest, reverse split S2

Correct answer: 2. Elevated JVP, singular loud S2, Systolic murmur

Explanation: PAH is characterized by presence of large 'a' waves leading to elevated JVP. S2 is loud, due to higher pressure leading to P2 closing with more force. The systolic murmur in these patients is explained by the presence of tricuspid regurgitation developing due to severe PAH Barrel-shaped chest is seen with COPD.